A female multipurpose worker does not do –
1. Distribute condoms
2. Malaria suruveillance
3. Birth death statistics
4. Immunisation of mothers

Correct answer: 2. Malaria suruveillance

Explanation: FHW does not do malaria surveillance hereself.
FHW assists the male health worker in maintaining a record of cases of malaria, TB and leprosy.